Uncommon complication of meckels diverticulum is:
1. Intussusception
2. Diverticulitis
3. Malignancy
4. Increased bleeding

Correct answer: 3. Malignancy

Explanation: Ans. C: Malignancy Epidemiology - More common in males by ratio of 3:2 Lifetime complication rate: 4% - More than 50% of complications occur before age 10 History-Initial report by Hildanus in 1598, Detailed description by Johann Meckel in 1809 Pathophysiology: Meckel's Diverticulum - Incomplete vitelline duct (omphalomesenteric) closure - Location . Proximal to ileocecal valve by 100 cm Usually within 45 to 60 cm of ileocecal valve Differential Diagnosis of Meckel's Diverticulitis-Appendicitis Complications of Meckel's Diverticulum - GI Bleeding (25-50% of complications) Often associated with ectopic gastric mucosa Hemorrhage is most common presentation under age 2 - Meckel's Diverticulitis (10-20% of complications)-Similar in presentation to Appendicitis - Bowel Obstruction Volvulus at fibrotic band attached to abdominal wall Intussusception Incarcerated Inguinal Hernia (Littre's hernia) - Other complications-Carcinoid Tumor Radiology - Radionuclide Scintigraphy (Sodium Tc-pertechnetate) Preferential uptake by gastric tissue Most accurate test in Meckel's Diverticulum-Test Sensitivity is 85% in children and Test Specificity is 95% in children Less accurate in adults -Cimetidine increases accuracy in adults - Small bowel enema-Indicated for negative scintigraphy in adults - Arteriography (indicated for acute hemorrhage)